Double depression in:-
1. Major depressive disorder from 2 years
2. Major depression with OCD
3. Depression with dysthymia
4. Depression with anxiety attack

Correct answer: 3. Depression with dysthymia

Explanation: Double depression: Patient has symptoms of Dysthymia (mild depression symptoms continuing for 2 years) the patient develops superimposed depression episode. Major depressive disorder from 2 years is called chronic depression